Worst prognosis is seen in pregnant women with cardiac lesion is :
1. Mitral stenosis
2. Co-arctation of aorta
3. Eisenmenger syndrome
4. Tetralogy of fallot's

Correct answer: 3. Eisenmenger syndrome

Explanation: Eisenmenger syndrome